Which joint is spared in Rheumatoid arthritis
1. MP joints of hand.
2. DIP joints of finger
3. PIP joints of finger
4. Atlanto-axial joint

Correct answer: 2. DIP joints of finger

Explanation: Ans. is 'b' i.e. DIP joints of finger. DIP joint is characteristically spared in RA.Joint most commonly involved in RA Metacarpophalangeal joints especially of index finger.